Kanawati index is used for ?
1. Air population
2. PEM
3. Obesity definition
4. Infectivity

Correct answer: 2. PEM

Explanation: Ans. is 'b' i.e., PEM Kanawati index is used to classify protein energy malnutrition (PEM).